A baby born at 32 weeks gestation with Apgar scores of 2 and 7 was placed in the neonatal ICU. She developed a fever and leukocytosis. LP revealed pleocytosis with increased protein, decreased glucose, and gram-positive rods. Which organism was most likely isolated from the CSF?
1. Escherichia coli
2. Listeria monocytogenes
3. Neisseria meningitides
4. Streptococcus agalactiae

Correct answer: 2. Listeria monocytogenes

Explanation: This is the history of neonatal meningitis. As gram positive bacilli were seen on CSF examination, the causative organism most probably is L. monocytogenes. Other causes of neonatal meningitis are Sterptococcus agalactiae (group B streptococcus) and E. coli.